In nephrotic syndrome the essential feature is ?
1. Proteinuria
2. Hypoalbuminemia
3. Hyperlipemia
4. Edema

Correct answer: 1. Proteinuria

Explanation: Ans. is 'a' i.e., Proteinuria o All the given options occur in nephrotic syndrome, but proteinuria is the most characteristic, which is the basic defect. o The underlying abnormality in nephrotic syndrome is an increase in permeability of the glomerular capillary wall, which leads to massive proteinuria and hypoalbuminemia.